Acquisition of milestones in a sequence that is different from the usual is called:
1. Deviance
2. Dissociation
3. Delay
4. Disability

Correct answer: 1. Deviance

Explanation: Acquisition of milestones in a sequence that is different from the usual -Deviance. Ex: Walking may come before crawling in cerebral palsy. Dissociation- Significant variations in attainment of milestones in different developmental domains. Delay is when child does not reach their developmental milestones at the expected time. Developmental disabilities are a group of conditions due to an impairment in physical, learning, language, or behavior areas.